When ascitic fluid is a typical transudate but contains more than 250 WBC/Cmm the probable diagnosis is
1. CHF
2. Tubercular ascites
3. Cirrhosis of liver
4. Cirrhotic ascites with occult peritoneal infection

Correct answer: 4. Cirrhotic ascites with occult peritoneal infection